A 5-year-old girl is brought to the emergency department because of difficulty breathing (dyspnea), palpitations, and shortness of breath. Doppler study of the heart reveals an atrial septal defect (ASD). This malformation usually results from incomplete closure of which of the following embryonic structures?
1. Ductus arteriosus
2. Ductus venosus
3. Sinus venarum
4. Foramen ovale

Correct answer: 4. Foramen ovale

Explanation: An atrial septal defect (ASD) is a congenital defect in the interatrial septum. During partitioning of the two atria, the opening in the foramen secundum (the foramen ovale) usually closes at birth. If this foramen ovale is not closed completely, this would result in an ASD, shunting blood from the left atrium to the right atrium.